All are derivatives of Rathke's pouch EXCEPT?
1. Pars intermedia
2. Pars tuberalis
3. Neurohypophysis
4. Pars distalis

Correct answer: 3. Neurohypophysis

Explanation: Neurohypophysis Neurohypophysis (posterior lobe) develops from a ventral evagination of the hypothalamus (diencephalon). It includes the median eminence, infundibular stem, & pars nervosa. Rathke's pouch gives rise to the various components of the anterior pituitary including pars anterior, pars tuberalos, pars intermedia.